An infant is born at 32 weeks gestation weighing 1.4 kg. He has difficulty in breathing immediately after birth and his condition worsens thereafter. After 5 hours of delivery, the child's respiratory rate is 60/min. On examination grunting, chest retraction and marked cyanosis is present and poor air movement in chest on auscultation. Which of the following is the most probable cause for respiratory distress of this neonate?
1. Transient Tachypnea of newborn
2. Meconium Aspiration syndrome
3. Neonatal Apnea
4. Hyaline membrane disease

Correct answer: 4. Hyaline membrane disease

Explanation: Based on prematurity and clinical picture provideda probable diagnosis is hyaline membrane disease (infant respiratory distress syndrome). HMD is caused by surfactant deficiency, and the incidence is increased with decreasing gestational age and birth weight. In this disease, lung compliance is reduced; lung volume is also reduced, and a significant right-to-left shunt of blood can occur. The combination of hypercapnia, hypoxia and acidosis produces pulmonary artery vasoconstriction, with increased right to left shunt through ductus arteriosus or foramen ovale, and within the lung itself.